Which of the following is not included in the triad of Reiter's syndrome :
1. Conjunctivetis
2. Urethritis
3. Arthritis
4. Keratoderma blenorrhagica

Correct answer: 4. Keratoderma blenorrhagica

Explanation: D. i.e. Keratoderma blenorrhagica